Ritonavir boosting is not recommended with which of the following protease inhibitor of HIV?
1. Darunavir
2. Saquinavir
3. Nelfinavir
4. Lopinavir

Correct answer: 3. Nelfinavir

Explanation: RITONAVIR : 1. Ritonavir is strongest microsomal enzyme inhibitor (CYP3A4) 2. It is not used as a protease inhibitor instead in low doses, it is used to inhibit microsomal enzymes and to boost the effect of other protease inhibitors except nelfinavir. Therefore NELFINAVIR effect is not boosted by Ritonavir. NELFINAVIR : It is a nonpeptidic protease inhibitor that is active against both HIV-1 and HIV-2. Long-term virologic suppression with Nelfinavir based combination regimens is significantly inferior to Lopinavir/Ritonavir, Atazanavir, or Efavirenz based regimens.